Edwards syndrome is -
1. Trisomy 21
2. Trisomy 18
3. Trisomy 13
4. 5 P

Correct answer: 2. Trisomy 18

Explanation: Ans. is 'b' i.e., Trisomy 18